Which of the following antiepileptic agents acts on the GABAergic system to decrease the uptake of GABA into neurons and glial cells?
1. Vigabatrin
2. Progabide
3. Gabapentin
4. Tiagabine

Correct answer: 4. Tiagabine

Explanation: It potentiates GABA mediated neuronal inhibition by depressing GABA transporter GAT 1 which removes synaptically released GABA into neurons and glial cells REF: KD TRIPATHI 8TH ED. page 421